True about acute rheumatic fever is
1. Aortic valve is most commonly involved
2. Chorea is late manifestation
3. Carditis is most common presentation
4. All patients have recurrent episode of streptococcal pharyngitis in past

Correct answer: 2. Chorea is late manifestation

Explanation: Chorea is a late manifestation of RHD. Ghai essential of pediatrics, eighth edition ,p.no:436